Gissane's angle in intraarticular fracture of calcaneum :
1. Reduced
2. Increased
3. Not changed
4. Variable

Correct answer: 2. Increased

Explanation: B i.e. Increased